Unilateral diaphragmatic paralysis cause
1. No change is total Lung capacity
2. Increase in forced vital capacity
3. Decrease in inspiratory reserve volume
4. No change in maximum breathing capacity

Correct answer: 3. Decrease in inspiratory reserve volume

Explanation: Hemi diaphrogm palsy results in : 

↓ TLC
↓ FVC
↓ IRV
↓ Normal FEV1 and FRC